True regarding Warthin's tumor: (Repeat)
1. Shows hot spot on tc 99 scan
2. Most common tumor of minor salivary glands
3. Most malignant tumor
4. Common in females

Correct answer: 1. Shows hot spot on tc 99 scan

Explanation: Ans: A (Shows hot spot on tc99 scan) Ref: Robbins Pathologic basis of Disease, 8th edition & Sains ton Textbook of Surgery, 19th EditionExplanation:"The only neoplasms of salivary glands known to consistently concentrate Tc-99m pertechnetate (Hotspot) are Warthin's tumor and oncocytoma"Ref: SabistonWAR III IN TUMOR (PAPILLARY CYSTAD-ENOMAIYMPIKOMATOSUM)This curious benign neoplasm with its intimidating histologic name is the second most common salivary gland neoplasm.It arises almost exclusively in the parotid gland (the only tumor virtually restricted to the parotid, and occurs more commonly in males than in females, usually in the fifth to seventh decades of life.About 10% are multifocal and 10% bilateral.Smokers have eight times the risk of non- smokers for developing these tumors.The tumor is slow growing, painless, and usually appears in the tail of the parotid gland near the angle of the mandibleMorphology:Most Warthin tumors are round to oval, encapsulated masses. 2 to 5 cm in diameter, usually arising in the superficial parotid gland, where they are readily palpable.Transection reveals a pale gray surface punctuated by narrow cystic or cleftlike spaces filled with a mucinous or scions secretionOn microscopic examination these spaces arc lined by a double layer of neoplastic epitnelial cells resting on a dense lymphoid stroma sometimes hearing germinal centers.The spaces are frequently narrow ed by polypoid projections of the lymphoepithelial elements.The double layer of lining cells is distinctive; it consists of a surface palisade of columnar cells having an abundant, finely granular, eosinophilic cytoplasm, that imparts an oncocytic appearance, which rests on a layer of cuboidal to polygonal cells.Oncocytes are epithelial cells stuffed with mitochondria, which impart the granular appearance to the cytoplasm.Secretory cells are dispersed in the columnar cell layer, accounting for the secretions within the cystically dilated lumens.On occasion, there are foci of squamous metaplasia.The occasional finding of small salivary gland rests in lymph nodes in the neck suggests that these tumors arise from the aberrant incorporation of similar inclusion-bearing lymphoid tissue in the parotids.Rarely. Warthin tumors have arisen within cervical lymph nodes, a finding that should not be mistaken for metastases.These neoplasms are benign, with recurrence rates of only 2% after resection